Radiographic finding of floating teeth can be seen in:
1. Ectodermal dysplasis
2. Cleidocranial dysplasia
3. Osteopetrosis
4. Histiocytosis - X

Correct answer: 4. Histiocytosis - X

Explanation: Floating Tooth Sign On radiographic examination of mandible, erosion of the bony alveoli around the teeth, so that they seem to be floating in spaceQ Seen in histiocytosis XQ